Occupational cancer involve following organs except:
1. Lung
2. Breast
3. Bladder
4. Liver

Correct answer: 2. Breast

Explanation: Ans. is 'b' i.e. Breast The sites of the body most commonly involved by occupational cancers are:BladderLungs & mesotheliumSkinBlood forming organsNasal cavitiesLarynxLiverMost common occupational cancer - Skin cancer Some Known Occupational Carcinogens & Related Cancers AgentIndustries and Trades with Proven Excess CancersCancer TypeAsbestosConstruction, asbestos mining and milling, production of friction products and cementLungMesotheliomaArsenicMetal mining and smeltingSkin, Lung, LiverBenzeneChemical and rubber manufacturing, petroleum refiningLeukemiaBenzidine, derived dyesDye and textile productionUrinary bladderBerylliumBeryllium processing, aircraft manufacturing, electronics, secondary smeltingLungCadmiumSmelting, battery making, weldingLungChromium and chromatesTanning, pigment makingNasal sinus, LungEthylene oxideHospitals, production of hospital suppliesLeukemiaIonizing radiationNuclear, health careSkin, Thyroid, LungNickelNickel refiningNasal sinus, LungPolycyclic aromatic hydrocarbons (from coke, coal, tar, shale, mineral oils and creosote)Steel making, roofing, chimney cleaningSkin, Scrotum, LungRadonUranium and hematite miningLungSilicaCasting, miningLungVinyl chloride monomerChemical manufacturingLiverWood dustCabinet making, carpentryNasal sinus